An absolute indication for Classical cesarean section is :
1. Carcinoma cervix
2. Multi-fibroid uterus
3. Breech presentation
4. Central Placenta Pre

Correct answer: 1. Carcinoma cervix

Explanation: Carcinoma cervix